The glomus tumour, invasion to the Jugular bub, is diagnosed by
1. Carotid angiography
2. Vertebral venous angiography
3. X ray
4. Jugular venography

Correct answer: 4. Jugular venography

Explanation: (Jugular venography) (214-15-LT) (140-41-LT) (108-D 4,h) (97-Maqbool 11th)Diagnosis of Glomus tumours* Carotid angiography and vertebral angiography will demonstrate the blood supply of the tumour* Jugular venography may demonstrate the extent of tumour invasion into the jugular bulb.MRI- will demonstrate the extent of tumour invasion* CT-scan head - helps to distinguish glomus tympanicum from the glomus jugular tumour by identification of carotico-jugular spine which is eroded in later CT-scan also helps to differentiate it from the aberrant carotid artery, high or dehiscent jugular bulbMRI- MR angiography and venography further help to delineate invasion of jugular bulb and vein or compression of the carotid artery.* Four vessel angiography - useful to found out extent of tumor, compression of internal carotid artery.* Diagnostic biopsy is CONTRAINDICATEDTreatment - smaller tumour are excised. Larger lesions may be treated by radiotherapy followed by surgery